Contraindications for pancreaticoduodenectomy for carcinoma head of pancreas would include all of the following EXCEPT:
1. Infiltration of portal vein
2. Metastases to coelic grop of lymph nodes
3. Infiltration of the second part of the duodenum
4. Tumour measuring 6 cm in size

Correct answer: 3. Infiltration of the second part of the duodenum

Explanation: Patients with duct cell cancers should be considered for resection, which are: *<than 4 crn in diameter. *No involving the superior mesenteric or portal veins. *With no evidence of multiple enlarged nodes or distant spread. FAQ CA Pancreas * Role of chemotherapy in CA pancreas though ill defined but if tumour is lymphoma then benefit is without doubt. * For duct cell edenocarcinoma, 5- fluorouracil will produce remission in 15-25 percent of patients. *It affects men and women to same degree. *Only predispbsing factors are tobacco smoking and chronic pancreatitis. *More than 85% cases are duct cell adenocarcinoma. *Most frequent symptoms are nonspecific namely epigastric discomfort, anorexia and weight loss. * Jaundice is the commonest sign and symptom which brings the patient to the attention of his/her physician. * The preferred test is now a contrast-enhanced spiral CT scan specific for pancreas.